Anti glaucoma drug that act by increasing uvea scleral outflow is?
1. Latanoprost
2. Timolol
3. pilocarpine
4. Dorzolamide

Correct answer: 1. Latanoprost

Explanation: REF : KD TRIPATHI 8TH ED